Dacron vascular graft is a:
1. Nontextile synthetic
2. Textile synthetic
3. Nontextile biologic
4. Textile biologic

Correct answer: 2. Textile synthetic